Intraoperative sentinel lymph node detection in axilla is done by using -
1. Mammography
2. Isosulfan blue dye
3. MRI *
4. CT

Correct answer: 2. Isosulfan blue dye

Explanation: Ans. is 'b' i.e., Isosulfan blue dye o Lymphetic mapping is performed by using isosulfan blue dye, technetium-fabled sulfur colloid ablumin or a combination of both.